All of the following muscles are supplied by accessory nerve except
1. Palatopharyngeus
2. Stylopharyngeus
3. Palatoglossus
4. Musculus uvulae

Correct answer: 2. Stylopharyngeus